Methanol causes eye damage by converting into?
1. Formic acid
2. Acetaldehyde
3. Pyridine
4. Acetic acid

Correct answer: 1. Formic acid

Explanation: Ans. is 'a' i.e., Formic acid o Formic acid is the primary agent responsible for the toxic effects and occular complications.o Methanol is metabolized to formaldehyde (by alcohol dehydrogenase) and formic acid (by acetaldehyde dehydrogenase).o It is the accumulation of formic acid which causes toxic effects in methanol poisoning. Accumulation of formic acid results in lactic acidosis/high anion gap metabolic acidosis with low plasma bicarbonates, blindness due to retinal damage, papilledema and optic atrophy.